A child comes with steroid resistant nephrotic syndrome secondary to FSGS, not responsive to methylprednisolone. What next should be given
1. Oral cyclophosphamide
2. Oral cyclosporine
3. Oral mycophenolate
4. IV cyclophosmaphid

Correct answer: 2. Oral cyclosporine

Explanation: When child with nephrotic syndrome is restaurant to steroids then calcineurin inhibitors such as cyclosporine and tacrolimus the first drug of choice. Reference: GHAI Essential pediatrics, 8th edition